Arsenic poisoning mimics which disease:
1. Acute cholecystitis
2. Cholera
3. Dhatura poisoning
4. Morphine poisoning

Correct answer: 2. Cholera

Explanation: Ans. B: Cholera Symptoms of arsenic poisoning begin with headaches, confusion and drowsiness. As the poisoning develops, convulsions and changes in fingernail pigmentation may occur. When the poisoning becomes acute, symptoms may include diarrhea, vomiting, blood in the urine, cramping muscles, hair loss, stomach pain, and more convulsions. The organs of the body that are usually affected by arsenic poisoning are the lungs, skin, kidneys and liver.